The technique of laparoscopic cholecystectomy was first described by?
1. Erich Muhe
2. Philip Moure
3. Kurt Semm
4. Eddie Reddick

Correct answer: 1. Erich Muhe

Explanation: History of laparoscopic cholecystectomy Eric Muhe performed the first laparoscopic cholecystectomy in 1982. He used a modified operating laparoscope placed at the umbilicus after establishing pneumoperitoneum. In 1987, Phillipe Mouret performed the first video laparoscopic cholecystectomy by using a camera attached to the laparoscope.